Ethmoidal sinus opens into which of the following
1. Hiatus semilunaris
2. Middle meatus
3. Superior meatus
4. All of the above

Correct answer: 4. All of the above

Explanation: The anterior ethmoidal air sinus is opened into the anterior part of the hiatus semilunaris The middle ethmoidal air sinus is opened into the middle meatus of the nose The posterior ethmoidal air sinus is opened into the superior meatus of the nose Ref BDC volume 3,6th edition pg 246